Suspended animation
1. Is an apparent death from which person can be aroused
2. Is true death from which person can not be aroused
3. May last for days or weeks
4. Can not be produced voluntarily

Correct answer: 1. Is an apparent death from which person can be aroused

Explanation: The condition where the person may appear to be dead due to the fact that the vital functions are at such a low pitch as to be minimum compatible with life is known as suspended animation or apparent death. It may be encountered under the following circumstances: As a voluntary act (death trance) In hypothermia In bodies removed from water In newborn infants: In electric shocks Vagal inhibitory reflexes Ref : Krishnan vij Textbook of Forensic medicine and Toxicology 5th edtion ; pg no - 76